A deviation of mandible to right side may suggest
1. Fracture of left condyle
2. Hyperplasia of right condyle
3. HypopLasia of left condyle
4. Fracture of right condyle

Correct answer: 4. Fracture of right condyle